True about menopausal transition are all EXCEPT?
1. Increase in FSH
2. Decrease in estrogen
3. Decrease in AMH
4. Increase in inhibin B

Correct answer: 4. Increase in inhibin B

Explanation: Menopause is secondary to depletion of ovarian follicles. As the number of follicles decrease there is a consequent decrease in estrogen , inhibin B and Anti Mullerian hormone (all three are primarily produced by granulosa cells of the ovary). Since the theca cells are relatively spared, androgen production declines more slowly. Absence of negative feedback of estrogen on pituitary leads to an increase in FSH